What is the content of ethinyl estradiol in very low dose oral contraceptives ?
1. 30 pig
2. 25 ps
3. 20ug
4. 151.tg

Correct answer: 3. 20ug

Explanation: Ans. is 'c' i.e., 20 jutg o Very low dose OCPs ---> 20 mg ethinyl estradiol. o Conventional OCPs --> 30-50 mg ethinyl estradiol (mostly 30 g)